Not Mesodermal in origin is
1. Respiratory Tract Lining
2. Kidney
3. Heart
4. Occipital bone

Correct answer: 1. Respiratory Tract Lining

Explanation: Respiratory system* develops from foregut and is endodermal